All of the following type of lymphoma are commonly seen in the orbit except.
1. Non Hodgkin's lymphoma, mixed lymphocytic histiocytic.
2. Non Hodgkin's lymphoma, lymphocytic poorly differentiated.
3. Burkitt's lymphoma.
4. Hodgkin's lymphoma.

Correct answer: 4. Hodgkin's lymphoma.

Explanation: D i.e. Hodgkin's lymphoma Hodgkin's lymphoma & T-cell lymphoma are not seen (least common) in orbit Q B cell lymphoma, Burkit lymphoma, Non Hodgkin's lymphomaQ, mantle cell lymphoma are common in orbit.